22.Regarding ethmoidal polyp,which of the following is true:
1. epitaxis
2. Unilateral
3. <10 years
4. Associated with Bronchial asthama

Correct answer: 4. Associated with Bronchial asthama

Explanation: Ref: Dhingra 7e pg 195.